Dust cells can be found in the _____.
1. Brain
2. Heart
3. Lungs
4. Liver

Correct answer: 3. Lungs

Explanation: Dust cells, along with heart failure cells, are macrophages that are found in the lungs. They are part of the reticuloendothelial system.